Neoplastic cells with multilobulated nuclei ('clover leaf' or flower cells) are seen in which of the following?
1. Diffuse large B cell lymphoma (DLBCL)
2. Adult T-cell leukemia (ATLL)
3. Anaplastic large cell lymphoma (ALCL)
4. Mycosis fungoides

Correct answer: 2. Adult T-cell leukemia (ATLL)

Explanation: Adult T-Cell Leukemia/Lymphoma(ATLL): This neoplasm of CD4+ T cells is only observed in adults infected by human T-cell leukemia Virus type 1 (HTLV-1). Common findings include skin lesions, generalized lymphadenopathy, hepatosplenomegaly, peripheral blood lymphocytosis, and hypercalcemia. Tumor cells with multilobated nuclei ("cloverleaf" or "flower" cells) are seen.